Person preoccupied by worries about ill health is :
1. Hypochondriac
2. Maniac
3. Depressed
4. Delirium

Correct answer: 1. Hypochondriac

Explanation: A i.e. Hypochondriasis